Parents are carrier of an autosomal recessive disorder. Chances of offspring to get affected
1. 1:01
2. 1:02
3. 1:03
4. 1:04

Correct answer: 4. 1:04

Explanation: To have an autosomal recessive disorder, you inherit two mutated genes, one from each parent. These disorders are usually passed on by two carriers. Their health is rarely affected, but they have one mutated gene (recessive gene) and one normal gene (dominant gene) for the condition. Two carriers have a 25 percent chance of having an unaffected child with two normal genes (left), a 50 percent chance of having an unaffected child who also is a carrier (middle), and a 25 percent chance of having an affected child with two recessive genes